Which of the following steroids is preferred for high dose intravenous corticosteroid pulse therapy ?
1. Cortisone
2. Hydrocortisone
3. Triamcinolone
4. Methyl–prednisolone

Correct answer: 4. Methyl–prednisolone